Best test for diagnosis of tubal patency Is :
1. Laparoscopy
2. Hysterosalpingography
3. Endometrial biopsy
4. Mantoux test

Correct answer: 1. Laparoscopy

Explanation: Laparoscopy